Which local anaesthetic does not require adrenaline
1. Procaine
2. Lignocaine
3. Bupivacaine
4. Cocaine

Correct answer: 4. Cocaine

Explanation: Cocaine itself has peripheral sympathomimetic action(Refer: Morgan and Mikhail's Clinical Anaesthesiology, 5th edition, pg no 274)